Virchow's triad includes all of the following components, EXCEPT:
1. Venous stasis
2. Injury to veins
3. Blood hypercoagulability
4. Venous thrombosis

Correct answer: 4. Venous thrombosis

Explanation: The three primary influences on thrombus formation that constitutes the Virchow's triad are endothelial injury, venous stasis and hypercoagulability. Endothelial injury is dominant and can independently cause thrombosis. Thrombosis can result from exposed subendothelial ECM, increased platelet adhesion or procoagulant production or reduced anticoagulant activity. Alteration in normal blood flow: promote thrombosis. Stasis and turbulence: Disrupt laminar flow and brings platelets into contact with the endothelium. Prevent dilution of activated clotting factors by flowing blood. Retard the inflow of clotting inhibitors. Promote endothelial cell activation. Hypercoagulability is loosely defined as any alteration of the coagulation pathways that predispose to thrombosis. Ref: Pocket Companion to Robbins and Cotran Pathologic Basis of Disease By Vinay Kumar, page 75.